Recurrent ulcers occurring on gingiva and palate are
most probably:
1. Aphthous ulcers
2. Herpes simplex
3. Koplick spots
4. Lesions of Behcet's syndrome

Correct answer: 2. Herpes simplex